Quod Banc means ?
1. Passive partner in sexual intercourse
2. Women having high sexual desire
3. Sexual paerner in pedophilia
4. Male impotent to particular women

Correct answer: 4. Male impotent to particular women

Explanation: Ans. is 'd' i.e., Male impotent to particular women Quod Hanc is a condition in which a man shows psychic impotence with one women but can preform the sexual act successfully with another woman.